A patient present with dysphagia of 4 weeks duration. Now he is able to swallow liquid food only. Which of the following is the one investigation to be done
1. Barium studies
2. Upper GI endoscopy
3. CT scan
4. Esophageal manometry

Correct answer: 2. Upper GI endoscopy

Explanation: investigations of carcinoma oesophagus includes, Barium swallow: Shouldering sign and irregular filling defect. * Oesophagoscopy to see the lesion, extent and type. * Biopsy for histological type and confirmation. * Chest X-ray to look for aspiration pneumonia. * Bronchoscopy, to see an invasion in upper third growth. * Oesophageal endosonography, to look for the involvement of layers of oesophagus, nodes, cardia and left lobe of the liver. Nodes smaller than 5 mm can be very well visualised by EUS which may be missed in CT scan. EUS guided transmucosal nodal needle aspiration cytology can also be done. * CT scan, (95% accuracy) to look for a local extension, nodal status, perioesophageal/diaphragmatic/ pericardial (1%)/vascular infiltration, obliteration of mediastinal fat and status of the tracheo-bronchial tree in case of upper third growth. Ref: SRB's manual of surgery,3 rd ed, pg no 753